A baby can follows an object with 180°, can hold neck, can sit with support but can not sit without support.The age of the baby is – a)  1 monthb)  3 monthsc)  5 monthsd)  6 monthse)  9 months
1. cd
2. bc
3. bd
4. ac

Correct answer: 1. cd

Explanation: A child follows object upto 180° by 3 months, ---- Meharban Singh 3'.d/e 67.
Neck holding develops by 3 months.
A child can sit with support by 5 months and can sit without support by 8 months.
So, the age of this child is between 5-8 months, which may be 5 months (option c) or 6 months (option d) or 7 months.